All are the branches of arch of aorta except:
1. Brachiocephalic trunk
2. Right common carotid artery
3. Left common carotid artery
4. Left subclavian artery

Correct answer: 2. Right common carotid artery

Explanation: Ans. B. Right common carotid arteryThe aortic arch has three branches. The first, and largest, branch of the arch of the aorta is the brachiocephalic trunk, which is to the right and slightly anterior to the other two branches and originates behind the manubrium of the sternum. Next, the left common carotid artery originates from the aortic arch to the left of the brachiocephalic trunk, then ascends along the left side of the trachea and through the superior mediastinum. Finally, the left subclavian artery comes off of the aortic arch to the left of the left common carotid artery.